Asymmetric Moro 's reflex at birth is indicative of:
1. HIE
2. Brain damage
3. Erb's palsy
4. Kernicterus

Correct answer: 3. Erb's palsy

Explanation: Ans. c. Erb's palsy (Ref: Care of Newborn 7/e p334; Ghai 6/e p146; CPDT 18/e p7)Asymmetric Moro's reflex at birth is indicative of Erb's palsy.Moro's Reflex:Obtained by placing the infant in a semi-upright position. The head is momentarily allowed to fall backward, with immediate resupport by the examiner's hand.The child symmetrically abducts and extends the arms and flexes the thumbs, followed by flexion and adduction of the upper extremitiesQAn absent or exaggerated response in a newborn is ominous suggesting significant dysfunction of the CNSQAn asymmetrical response may signify a fracture clavicle, brachial plexus injury or hemiparesisQ. Moro's ReflexObtained by placing the infant in a semi-upright position. The head is momentarily allowed to fall backward, with immediate resupport by the examiner's hand.The child symmetrically abducts and extends the arms and flexes the thumbs, followed by flexion and adduction of the upper extremitiesQ.Moro's reflex appears at 28-32 weeksQ (Becomes fully developed at 37 weeks).Moro's reflex disappears after age of 12 weeks (3 months)Q.Significance:An absent or exaggerated response in a new bom is ominous suggesting significant dysfunction of the CNSQAn asymmetrical response may signify a fracture clavicle, brachial plexus injury or hemiparesisQ.